Elevated mood for ______ is essential to diagnose as mania.
1. 1 week
2. 2 week
3. 3 week
4. 4 week

Correct answer: 1. 1 week

Explanation: Elevated mood for 1 week is the essential criteria to diagnose mania.